Comparison of efficacy of a new drug B with an existing drug A is done in which phase of clinical trials ?
1. Phase I
2. Phase II
3. Phase III
4. Phase IV

Correct answer: 3. Phase III

Explanation: "The purpose of phase III trials is to obtain adequate data about the efficacy and safety of drugs in a larger number of patients of either sex in multiple centres usually in comparison with the standard drug."